Which of the following tests is used to detect reversible myocardial ischemia
1. Angiography
2. Thallium scan
3. MUGA
4. Resting Echocardiography

Correct answer: 2. Thallium scan

Explanation: Answer is B (Thallium scan) Reversible Myocardial Ischemia can be detected by myocardial perfusion imaging using compounds labeled with thallium- 201 (Thallium Scan) What is Reversible Myocardial Ischemia: Role of Thallium scanning Reversible myocardial ischemia refers to areas of myocardium that become ischemic on stress /exercise, but region viability / circulation on resting and do not progress to infarction Such areas of myocardium can be detected by myocardial perfusion imaging using the Thallium scan. Thallium scan can thus help in distinguishing between on ischemic area (reversible) and an infracted / scarred area of myocardium (irreversible)